All of the following investigations are needed for the diagnosis of osteosarcoma, except -
1. MRI of femur
2. Bone marrow biopsy
3. Bone scan
4. CT chest

Correct answer: 2. Bone marrow biopsy

Explanation: A biopsy of the lesion (not bone marrow biopsy) should always be carried out before commencing treatment.
Bone scan, MRI and CT chest are used.